A child aged 3 years, presented with severe sensorineural deafness was prescribed hearing aids but showed no improvement. What is the next line of management-
1. Fenestration surgery
2. Stapes mobilisation
3. Cochlear implant
4. Conservative management

Correct answer: 3. Cochlear implant

Explanation: Common indications for cochlear implants

Severe to profound SNHL in both ears with a functioning auditory nerve.
Little to no benefit from conventional hearing aids.
Living in or desiring to live in the "hearing world".
High motivation, strong commitment and realistic expectations.
Strong social and educational support.
In the case of infants and young children having a family willing to work toward speech and language skills with therapy.